In contrast to iron deficiency anemia in anemia of chronic disease, TIBC -
1. Decreases
2. Increases
3. Normal
4. None of the above

Correct answer: 1. Decreases